FALSE about Leprosy eradication programme is –
1. Early detection of cases
2. Disability limitation
3. Long term multi drug therapy
4. Health education

Correct answer: 3. Long term multi drug therapy

Explanation: In leprosy eradication programme the multidrug therapy is not long term but short term therapy.
Shorter therapy has added advantage of patient compliance, cost-effectiveness and decreased work load